Relative risk can be obtained from
1. Case study
2. Cohort study
3. Case control study
4. Experimental study

Correct answer: 2. Cohort study

Explanation: Strength of association in Cohort study Strength of associationFormulaRelative risk (Risk ratio)RR = Incidence among exposed Incidence among non exposed RR > 1Positive association RR = 1 No association RR < 1Negative association Attributable riskAR = Incidence among exposed-Incidence among non exposedIncidence among exposed x 100Population attributable risk PAR = = Incidence among total -Incidence among non exposedIncidence among total x 100(Refer: K. Park's Textbook of Preventive and Social Medicine, 24th edition, pg no: 83, 93)